Burkitts lymphoma shows trans-location:
1. 8:14
2. 9:22
3. 11:14
4. 14:18

Correct answer: 1. 8:14

Explanation: 8:14